Most specific indicator of liver injury?
1. ALT
2. AST
3. SAP
4. 5' nucleotidase

Correct answer: 1. ALT

Explanation: Most specific indicator of liver injury is: ALT: SGPT (product present in cytosol that come in blood due to injury) AST: SGOT, present in cardiac tissue/liver so it's not specific SAP: (Cholestasis marker) Do not indicate hepatocyte necrosis 5' nucleotidase: Cholestasis marker